Which of the following statement is true regarding trial of labor
1. Perinatal death rate associated with trial of labor is higher.
2. Perinatal mortality rate is 11 times lesser than repeat C-section
3. Is known to reduce risk of Hypoxic ischemic encephalopathy
4. There is no difference in perinatal mortality rate when compared with repeat cesarean section

Correct answer: 1. Perinatal death rate associated with trial of labor is higher.

Explanation: Trial of labor is associated with higher perinatal mortality rate, high risk of HIE.